All of the following are features of poliomyelitis except –
1. Acute onset
2. Progressive course
3. Intact sensation
4. Febrile onset

Correct answer: 2. Progressive course